. A disease whose etiology is not known, the first step in the formation of hypothesis will be -
1. Cross sectional study
2. Descriptive epidemiology
3. Case control study
4. Cohort study

Correct answer: 2. Descriptive epidemiology